Anti - Smoking drug is?
1. Theophylline
2. Biclutamide
3. Salmeterol
4. Bupropion

Correct answer: 4. Bupropion

Explanation: ANSWER: (D) BupropionREF: Harrison 17th ed chapter 390Indirect repeat Pharmacology 2013 Session 2 (Different options), June 2011 (See pharmacologic interventions for tobacco addiction)